Sound intensity of whispering
1. 30 dB
2. 60 dB
3. 90 dB
4. 120 dB

Correct answer: 1. 30 dB

Explanation: Ans. is 'a' i.e., 30 dB * Following are intensities when a person is at a distance of one meter from sound source.Whisper30 dBNormal conversation60 dBShout90 dBDiscomfort of ear120 dBPain in ear130 dB